Which is the commonest childhood tumor -
1. ALL
2. CLL
3. AML
4. CML

Correct answer: 1. ALL

Explanation: Ans. is 'a' i.e., ALL